Normal voice heard from 1 meter, intensity of sound reaching ear is -
1. 20 dB
2. 40 dB
3. 60 dB
4. 80 dB

Correct answer: 3. 60 dB

Explanation: Normal conversation produces 60-70 dB. Whisper 20-30 dB. Mechanical damage at 150-160 dB REF. PARK'S TEXTBOOK OF PREVENTIVE AND SOCIAL MEDICINE 22nd EDITION. PAGE NO - 688